Mean half life of oxytocin?
1. 3 min
2. 30 min
3. 2 min
4. 1 min

Correct answer: 1. 3 min

Explanation: Oxytocin has a half life of approximately 3-5 minutes.